Louis pasteur is not associated with
1. Introduction of Complex media
2. Discovery of Rabies vaccine
3. Discovery of M.tuberculosis
4. Disproved spontaneous generation theory

Correct answer: 3. Discovery of M.tuberculosis

Explanation: Ans. is 'c' i.e., Discovery of M. Tuberculosis . Louis pasteur is associated with . Development of live vaccine (first was anthrax) . Development of vaccine for rabies (hydrophobia) . Introduction of technique of sterilization . Disprove the theory of spontaneous generation (abiogenesis) . Established the different growth need of different bacteria (helped in complex media) . Coined the term vaccine M. tuberculosis was discovered by Robert Koch